Fluoride is least effective in which area:
1. Cusp
2. Pits and fissures
3. Buccal areas
4. Palatal area

Correct answer: 2. Pits and fissures